Anterior interventricular artery is a branch of
1. Right coronary artery
2. Left coronary artery
3. Circumflex artery
4. Left anterior descending artery

Correct answer: 2. Left coronary artery

Explanation: LEFT CORONARY ARTERY It is larger than the right coronary artery.It arises from the left posterior aortic sinus. Branches A.Large branches 1.Anterior interventricular 2.Branches to the diaphragmatic surface of the left ventricle,including a large diagonal branch. B.Small branches 1.Left atrial 2.Pulmonary 3.Terminal REF.B D Chaurasia's human anatomy vol.1.fifth edition BD CHAURASIA'S HUMAN ANATOMY.VOL.1.FIFTH EDITION.PAGE NO 252